About posterior cruciate ligament - the true statement is:
1. Attached to the lateral femoral condyle
2. Intrasynovial
3. Prevents posterior dislocation of tibia
4. Relaxed in full flexion

Correct answer: 3. Prevents posterior dislocation of tibia

Explanation: Posterior cruciate ligament prevents posterior dislocation of tibia. Posterior displacement is prevented by anterolateral bundle during knee flexion and by the posteromedial bundle during knee extension.Ref: Human Anatomy, B D Chaurasia, 4th Edition, Volume 2, Chapter 12, Page 145; System Of Orthopaedics And Fractures, Apley, 9th Edition, Chapter 20, Page 584.